In the Eijkman test, mac Conkey broth tubes are incubated at
1. 25 degree centigrade
2. 37 degree centigrade
3. 44 degree centigrade
4. 52 degree centigrade

Correct answer: 3. 44 degree centigrade

Explanation: At 44 degree centigrade, Mac Conkey broth tubes are incubated Ref: Textbook of Microbiology Baveja 4th ed Pg 691